True about AJCC staging of oral cavity carcinoma -a) Involvement of pterygoid plate in stage T3 b) Involvement of pterygoid plate in stage T4 c) Involvement of lateral pterygoid muscle in stage T4 d) Involvement of medial pterygoid muscle in stage T3
1. a
2. c
3. ac
4. bc

Correct answer: 4. bc

Explanation: The 'T' classification is specific to different sites of origin.
I am going to mention 'T' classification of the oral cavity and oropharynx, as anterior two third of the tongue lies in oral cavity and the base of the tongue in the oropharynx.
Oral cavity consists of the lip, floor of the mouth, oral tongue (anterior 2/3 of tongue), buccal mucosa, upper and lower gingiva, hard palate and retromolar trigone.
Oropharynx includes the base of the tongue, the tonsillar region (tonsillar fossa and tonsillar pillars), the so palate, and the pharyngeal wall between the pharyngoepiglottic fold and the nasopharynx.